Hysteroscopy can diagnose all, except :
1. Asherman's syndrome
2. Septate uterus
3. Adenomyosis
4. TB endometritis

Correct answer: 3. Adenomyosis

Explanation: Adenomyosis